All are important etiological diagnostic tests in a case of peripheral neuropathy, EXCEPT:
1. HSV serology
2. Cryoglobulins
3. Westornblot for lyme disease
4. CMV titer

Correct answer: 1. HSV serology

Explanation: Important initial tests in case of peripheral neuropathy: Serum electrolytes, renal and hepatic function, fasting blood glucose (FBS), HbA1c, urinalysis, Thyroid function tests, B12, folate, erythrocyte sedimentation rate (ESR), Rheumatoid factor, antinuclear antibodies, serum protein electrophoresis, and urine for BJP. Patients with mononeuropathy multiplex should have : Antineutrophil cytoplasmic antibodies (ANCA), cryoglobulins, hepatitis serology, Western blot for Lyme disease, HIV, and cytomegalovirus (CMV) titer. HSV has not been given as an etiological test in peripheral neuropathy. Ref: Harrison, Edition-18, Page-3450